6.Ideal treatment of rhinosporidiosis is:
1. Rifampicin
2. Excision with cautery at base
3. Dapsone
4. Laser

Correct answer: 2. Excision with cautery at base

Explanation: Treatment of rhinosporidiosis: Complete excision of the mass with diathermy knife and cauterization of its base. Recurrence may occur after surgical excision. Not many drugs are effective against the disease. Dapsone has been tried with some success. Ref: Dhingra 7e pg 178.